MC malignancy in children is:
1. Retinoblastoma
2. Leukemia
3. Wilms tumor
4. Neuroblastoma

Correct answer: 2. Leukemia

Explanation: b. Leukemia(Ref: Nelson 20/e p 2416)Most frequent childhood cancers are: (in order of decreasing frequency)Leukemia (Most common is ALL)Brain TumorsNeuroblastomaWilms tumor